All of the following are features of musculo - cutaneous nerve injury at axilla except :
1. Loss of flexion of shoulder
2. Loss of flexion of elbow
3. Loss of supination of forearm
4. Loss of sensation on radial side of forearm

Correct answer: 1. Loss of flexion of shoulder

Explanation: Musculocutaneous nerve supplies biceps and brachialis. It also gives sensory supply along the radial side of forearm. When it is damaged, it might show the following :

Flexion at elbow weakened (Biceps & Brachialis).
Supination of semiflexed elbow is affected (Biceps).
Sensory loss on radial side of forearm.